Louse Transmits
1. Plague
2. KFD
3. Onchocerciasis
4. French fever

Correct answer: 4. French fever